Risk factors for uterine fibroid is
1. Pregnancy
2. African-american woman
3. Breast feeding
4. Adolescence

Correct answer: 2. African-american woman

Explanation: Age and race are risk factors for fibroid.

Reproductive age group
African-american women.